What is the best prognostic indicator of multiple myeloma at the time of diagnosis -
1. Number of myeloma cells in the marrow
2. Beta 2 microglobulin
3. Alkaline phosphatase level
4. Hypercalcemia

Correct answer: 2. Beta 2 microglobulin